Morphine can be administered by all of the following routes EXCEPT:
1. Intramuscular
2. Transdermal
3. Epidural
4. Subarachnoid

Correct answer: 2. Transdermal